Best for management of hypoglycemia in a girl child with Congenital adrenal hyperplasia?
1. Betamethasone
2. Beclomethasone
3. Budesonide
4. Hydrocortisone

Correct answer: 4. Hydrocortisone

Explanation: * Most common type of CAH (21 hydroxylase deficiency) presents with hypoglycemia with hypotension and virilization. Hydrocortisone injection after birth will help in stabiizing the child by increasing blood sugar and increasing salt absorbtion from the kidney. * Methylprednisolone and dexamethasone have negligible mineralocorticoid effects. Therefore, if the patient is hypovolemic, hyponatremic, or hyperkalemic, large dosages of hydrocortisone are preferred because of its mineralocorticoid effect.